Which of the following is an odontogenic tumor?
1. Arrhenoblastoma
2. Astrocytoma
3. Ameloblastoma
4. Granular cell tumor

Correct answer: 3. Ameloblastoma